For every 100 kilocalories, vitamin B, required is -
1. 0.05 mg
2. 0.5 mg
3. 5.0 mg
4. 1.0 gm

Correct answer: 1. 0.05 mg

Explanation: parks textbook of preventive and social medicine 23rd edition. *recommended intake of thiamine for every 1000kcal intake of energy is 0.5mg . so for 100 kcal intake of energy ,thiamine requried is 0.05 mg .